Estrogen dependent conditions are all except :
1. Endometriosis
2. Endometrial carcinoma
3. Fibroids
4. Ca. Cervix

Correct answer: 4. Ca. Cervix

Explanation: Ca. Cervix